In endodontic practice, periapical radiographs are very useful in assessing the
1. Length of the root canal
2. Presence of infection in the pulp
3. Vitality of the pulp
4. All of the above

Correct answer: 1. Length of the root canal